Sphingolipids are chiefly accumulated in
1. Cardiac muscle
2. Adipose tissue
3. Skeletal muscle
4. CNS

Correct answer: 4. CNS

Explanation: CNS

Sphingolipids are mainly found in cell membranes, particularly nerve cells and brain tissues.